Posterior Scalloping of vertebra is seen in all except
1. Neurofibromatosis
2. Marfan's
3. Achondroplasia
4. Homocystinuria

Correct answer: 4. Homocystinuria

Explanation: Fish mouth vertebra is seen in Homocystinuria.